F00 in ICD denotes
1. organic disorders
2. psychosis
3. subsatnce use
4. mood disorders

Correct answer: 1. organic disorders

Explanation: ICD CHAPTERS ICD is a text book for classification of psychiatric disorders. The below table comprises chapter numbers dealing with various psychiatric disorders. Ref. Internation classification of diseases, 10 th edition